A 35-year-old P2L2 female has CIN extending to vaginal fornix, confirmed on colposcopy. Best management:
1. Conization
2. LEEP
3. Cryosurgery
4. Laser

Correct answer: 4. Laser

Explanation: Ans. is d, i.e. LaserManagement of CIN-confirmed on colposcopy|||||CIN 1 persisting for >=2 years in female >=25 yearsCIN 2 and 3 at any age and any parityRecurrent CINCIN extending to vagina||||CryosurgeryLEEP/LLETZHysterectomyLaser